With reference to mumps which of the following is true -
1. Meningoencephalitis can preced parotitis
2. Salivary gland involvement is limited to the parotid
3. The patient is not infectious prior to clinical parotid enlargement
4. Mumps orchitis frequently leads to infertility

Correct answer: 1. Meningoencephalitis can preced parotitis

Explanation: Mumps meningitis may occasionally occur in the absence of parotitis. Mumps meningitis and encephalitis usually resolve without deafness REF:ANANTHANARYANAN TEXTBOOK OF MICROBIOLOGY 9EDITION PGNO.508